Peripheral flange is seen in which implant form?
1. Subperiosteal implant
2. Extraoral implant
3. Disc shaped implant
4. Root form implant

Correct answer: 2. Extraoral implant

Explanation: Extraoral implants has peripheral flange for increased surface area for better osseointegration and retention.